All of the following are virulence factors of pertussis, except:
1. Tracheal cytotoxin
2. Pertussis toxin
3. Capsule
4. Pertactin

Correct answer: 3. Capsule

Explanation: Ans. is. 'c' i. e., Capsule